An important step in activation of naive CD4 +T cells and initiation of cell-mediated immune response is played by Interleukin-
1. 2
2. 1
3. 3
4. 4

Correct answer: 1. 2

Explanation: Activation of CD4 +T cells:

Naive CD4 +T cells cells recognize peptides displayed by dendritic cells and secrete IL-2, which functions as an autocrine growth factor to stimulate proliferation of the antigen-responsive T cells.
The subsequent differentiation of antigen-stimulated T cells to TH1 or TH17 cells is driven by the cytokines produced by APCs at the time of T-cell activation.
In some situations, the APCs (dendritic cells and macrophages) produce 1L-12, which induces the differentiation of CD4 +T cells to the TH1 subset. IFN-γ produced by these effector cells promotes further TH1 development, thus amplifying the reaction.
If the APCs produce inflammatory cytokines such as IL-1, IL-6, and a close relative of IL-12 called IL-23, these stimulate differentiation of T cells to the TH17 subset.